Earliest symptom of thyroid ophthalmopathy -
1. Proptosis
2. Lid retraction
3. Ophthalmoplegia
4. Diplopia

Correct answer: 2. Lid retraction

Explanation: Retraction of the upper lids producing the characteristic staring and frightened appearance (Dalrymple's sign ) in 90% of cases Ref. Ak khurana 6th edition pg no 414 ref img